Romana's sign is seen in -
1. Toxoplasma
2. Trypanosoma cruzi
3. Loaloa
4. Wuchereria

Correct answer: 2. Trypanosoma cruzi

Explanation: Ans. is 'b' i.e., Trypanosoma cruzi Romana's signo The classic finding in acute Chagas disease, which consists of unilateral painless edema of the palpebrae and periocular tissues - can result when the conjunctiva is the portal of entry.o These initial local signs may be follwed by malaise, fever, anorexia, and edema of the face and lower extremities.o Generalized lymphadenopathy and hepatosplenomegaly may develop.